Kamla Rani, a 20 yrs old female having mitral stenosis class II and Rheumatic heart disease becomes pregnant. Which is not indicated in her management during labor:
1. Give Prophylactic antibiotics
2. Apply Outlet forceps in 2nd stage of labor
3. Give iv furosemide at delivery of placenta
4. Give Methergin at delivery of anterior shoulder

Correct answer: 4. Give Methergin at delivery of anterior shoulder

Explanation: Use of ergometrine/methergin, with or following delivery, is contraindicated in patients with cardiac disease. Ref: Dewhurst's Textbook of Obstetrics and Gynaecology, 5th edition, Page 224 ; Textbook of Obstetrics By Dutta, 4th Edition, Page 541 and 6th Edition, Page 280